Patau syndrome due to -
1. Trisomy 21
2. Trisomy 13
3. 18 P
4. Trisomy 18

Correct answer: 2. Trisomy 13